A major lipid of mitochondrial membrane is
1. Lecithin
2. Inositol
3. Plasmalogen
4. Cardiolipin

Correct answer: 4. Cardiolipin

Explanation: Inner mitochondrial membrane: The inner mitochondrial membrane is very rich in proteins and the ratio of lipid to proteins is only 0.27:1 by weight. It contains high proportion of the phospholipid cardiolipin. In contrast to outer membrane, the inner membrane is virtually impermeable to polar and ionic substances. These substances enter the mitochondrion only through the mediation of specific transport proteins.Ref: MN Chatterjea Textbook of Medical Biochemistry, 8th edition, page no: 6